Achalasia is associated with increased risk of ...... malignancy:
1. Squamous cell carcinoma esophagus
2. Adenocarcinoma esophagus
3. Bronchogenic carcinoma
4. Bronchial adenoma

Correct answer: 1. Squamous cell carcinoma esophagus

Explanation: Prolonged stasis esophagitis in achalasia is the likely explanation for the association between achalasia and esophageal squamous cell cancer. Squamous cell cancer esophagus risk is increased 17-fold in achalasia cardia. Ref: Harrison, Edition-18, Page-2432